For sodium-potassium pump, the coupling ratio is
1. 1:01
2. 2:03
3. 3:02
4. 1:04

Correct answer: 3. 3:02

Explanation: Na, K ATPase catalyzes the hydrolysis of ATP to adenosine diphosphate (ADP) and uses the energy to extrude three Na+ from the cell and take two K+ into the cell for each molecule of ATP hydrolyzed. It is an electrogenic pump in that it moves three positive charges out of the cell for each two that it moves in, and it is therefore said to have a coupling ratio of 3:2.